Which pattern is seen in pulmonary function tests in a patient with interstitial lung disease?
1. FEV1/FVC ratio increases and DLCO increases
2. FEV1/FVC ratio increases and DLCO decreases
3. FEV1/FVC ratio decreases and DLCO decreases
4. FEV1/FVC ratio decreases and DLCO increases

Correct answer: 2. FEV1/FVC ratio increases and DLCO decreases

Explanation: Pulmonary function tests In PFT,Airway narrowing,lung volume and gas exchange capacity are quantified and compared with normal values adjusted for age,gender,height,etc. Most forms of ILD will show restrictive pattern on PFT. Restrictive deficit TLC(Total lung capacity) Reduced FEV1(Forced expiratory volume in 1 sec) Symmetrically reduced FVC(Forced vital capacity) Reduced DLCO(Diffusing capacity of the lung for carbon monoxide) Reduced FEV1/FVC ratio Normal or increased characteristically >0.7 Approach to pulmonary function test interpretation: